Maximum density of goblet cells is seen in
1. Superior conjunctiva
2. Inferior conjunctiva
3. Temporal conjunctiva
4. Nasal conjunctiva

Correct answer: 4. Nasal conjunctiva

Explanation: Goblet cells form the mucus layer of the tear film They are maximum nasally and least superiorly REF:Refer Khurana 6th edition page number 59